Congenital heart block develops in fetuses of women suffering from
1. SLE
2. Epilepsy
3. Rheumatoid arthritis
4. Ankylosing spondylitis

Correct answer: 1. SLE

Explanation: Congenital heart block develops almost exclusively in fetuses of women with antibodies to the SS-A or SS-B antigens. (Ref: William's Obstetrics; 25th edition)